Which of the following drug is used for radical cure-
1. Choloroquine
2. Primaquine
3. Quinine
4. Mepacrine

Correct answer: 2. Primaquine

Explanation: Ans. is 'b' i.e., Primaquine o Drugs which act on exoerythrocytic stage in liver (hypnozoites) are used for radical cure. Primaquine is the only drug which is used for radical cure.